Needle aspiration of a central bone lesion is useful
1. To rule out a vascular lesion
2. To determine thickness of buccal plate
3. To diagnose traumatic bone cyst
4. To feel root surfaces

Correct answer: 1. To rule out a vascular lesion